Berkesonian bias is a type of ?
1. Selection bias
2. Interviever bias
3. Information bias
4. Recell bias

Correct answer: 1. Selection bias

Explanation: Ans. is 'a' i.e., Selection bias Berksonian bias is a type of selection bias.Biaso It is any systemic error in the analysis of study that results in a mistaken estimate of an exposure's effect on the risk of disease.o Mainly biases are of following types.1. Selection bias# Surveillance/detection bias# Referrel bias or volunteer bias# Berksonian bias# Neyman survival bias# Response bias 2. Information (Misclassification) bias# Reporting bias# Interviewer bias# Recall bias# Hawthorne bias (attention bias)3. Confounding bias# Confounding is some times is referred to as a third major class of bias.